A 20-year old male presents with severe headache, vomiting and altered sensorium of 2 days duration. Which of the following disease will not be considered in the differential diagnosis ?
1. Acute viral encephalitis
2. Subarachnoid hemorrhage
3. Migraine
4. Cortical venous thrombosis

Correct answer: 3. Migraine